Test used for prolapsed lumbar intervertebral disc is-
1. Active straight leg raising test
2. Lasegue test
3. Thomas test
4. Apley's grinding test

Correct answer: 2. Lasegue test

Explanation: Essential orthopaedics , Maheshwari, 9th edition ,pg.no.255 Lasegue test is a modification of SLRT where the first the hip is lifted to 90deg with the knee bent . The knee is then gradually extended by the examiner, if nerve stretch is present ,it will not be possible to do so & patient will experience pain in the back of thigh or leg.